Most common cause of spontaneous abortion in first trimester:
1. Chromosomal anomalies
2. Uterine anomalies
3. Antiphospholipid antibody syndrome
4. Hypothyroidism

Correct answer: 1. Chromosomal anomalies

Explanation: Ans: A (Chromosomal anomalies) Ref: Dutta: Textbook of Obstetrics 7th ed pg 160Explanation:COMMON CAUSES OF MISCARRIAGEFirst TrimesterGenetic factors Endocrine Immunological disorders InfectionUnexplainedSecond TrimesterAnatomicCervical incompetenceBicomuate uterusSeptate uterusUterine synechiaeUterine fibroidMaternal medical illnessUnexplained